ST depression & T wave invesion in V1 to V6 and a VL leads indicate -
1. Anterolateral wall AMI
2. Posterior wall AMI
3. Inferior AMI
4. Lateral wall AMI

Correct answer: 1. Anterolateral wall AMI